A 30-year-old male had severely itchy papulo–vesicular lesions on extremities, knees, elbows and buttocks for one year. Immunofluorescence staining of the lesions showed IgA deposition at dermo-epidermal junction. The most probable diagnosis is –
1. Pemphigus vulgaris
2. Bullous pemphigoid
3. Dermatitis herpetiforms
4. Nummular eczema

Correct answer: 3. Dermatitis herpetiforms

Explanation: Itchy papulovesicular lesions on extensor surfaces and deposition of IgA at DEJ suggests the diagnosis of dermatitis herpatiformis, which is associated with Coeliac disease